Obesity in pregnancy causes all of the following complications except :
1. Abnormal uterine action
2. Fetal neural tube defect
3. Precipitate labour
4. Venous thrombosis

Correct answer: 3. Precipitate labour

Explanation: Obesity Patient feels uncomfortable and dyspnoeic on exertion hypertension and gestational diabetes difficulty in diagnosis of presentation fetal macrosomia fetal malformations especially NTD increased incidence of abnormal uterine contractions and prolonged labour shoulder dystocia puerperal UTI,PPH venous thrombosis and lactation failure D.C.DUTTA'S TEXTBOOK OF OBSTETRICS,pg no:344,7th edition